Attributable risk is defined as -
1. Incidence of disease among exposed minus incidence of disease among non-exposed
2. Incidence of disease among non-exposed minus incidence of disease among exposed
3. Incidence of disease among non-exposed divided by incidence among exposed
4. Incidence of disease among exposed divided by incidence among non-exposed

Correct answer: 1. Incidence of disease among exposed minus incidence of disease among non-exposed

Explanation: Ans. is 'a' i.e., Incidence of disease among exposed minus incidence of disease among non-exposed * Attributable risk is the difference in incidence rates of disease (or death) between an exposed group and non- exposed group.AR =Incidence of disease in exposed - Incidence of disease in unexposed----------------------------------------------------------Incidence of disease in exposedx 100